Which one of the following ligaments contains splenic artery -
1. Gastrosplenic ligament
2. Splenocolic ligament
3. Splenorenal ligament
4. Splenophrenic ligament

Correct answer: 3. Splenorenal ligament

Explanation: Linorenal (splenorenal) ligament contains tail of pancreas, splenic vessels, lymph nodes and lymphatics and sympathetic nerve.